All the following is true about Meniere's disease except.
1. Idiopathic
2. Low frequency hear loss
3. Increase in endolymph
4. Destroying the cochlea is mandatory

Correct answer: 4. Destroying the cochlea is mandatory

Explanation: Meniere's disease also known as Endolymphatic hydrops. Distended cochlear duct with endolymph pushing Reissner's membrane is Pathognomic. Disease is commonly seen in the age group of 35-60 years. Males are affected more than females. Usually, disease is unilateral, but the other ear may be affected after a few years. Episodic vertigo, Fluctuating hearing loss (Low frequency), Tinnitus and sense of fullness or pressure in involved ear.